A 20 year old man was found in a city far away from his home town, working in a factory. He was unable to tell about his previous life. Which of the following is the likely diagnosis:
1. Post traumatic stress disorder
2. Body dysmorphic disorder
3. Dissociative fugue
4. Dissociative identity disorder

Correct answer: 3. Dissociative fugue

Explanation: Ans. (c) Dissociative fugueDISSOCIATIVE FUGUE* Dissociative fugue is characterized by episodes of wandering away (usually away from home). During the episode, the person usually adopts a new identity with complete amnesia for the earlier life. The onset is usually sudden, often in the presence of severe stress. The termination too is abrupt and is followed by amnesia for the episode, but with recovery of memories of earlier life.MULTIPLE PERSONALITY (DISSOCIATIVE IDENTITY) DISORDER* In this dissociative disorder, the person is dominated by two or more personalities, of which only one is being manifest at a time. These personalities are usually different, at times even opposing.POST TRAUMATIC STRESS DISORDER* Arises as a delayed and/protracted response to an exceptionally stressful or catastrophic life event or situation, which is likely to cause pervasive distress in 'almost any person (e.g. disasters, war, rape or torture, serious accident). The symptoms of PTSD may develop, after a period of latency, within six months after the stress or maybe delayed beyond this period* PTSD is characterized be recurrent and intrusive recollections of the stressful event either in flashbacks or in dreams.